All of the following drugs are used in prophylaxis of migraine except
1. Propanolol
2. Flunarizine
3. Tapiramate
4. Levetiracetam

Correct answer: 4. Levetiracetam

Explanation: K.DTripathy essentials of medical pharmacology 7th edition . Drugs for prophylaxis of migraine include beta blockers,TCA(amitriptyline),calcium channel blockers(flunarizine),anticonvulsants(topiramate),5HT antagonist. Ref Harrison20th edition pg 2345